All of the following can give rise to diffuse alveolar damage, except?
1. Blood transfusion
2. Uremia
3. Fat embolism
4. Air pollutants

Correct answer: 4. Air pollutants

Explanation: Diffuse alveolar damage (DAD) is the histological manifestation of acute lung injury (ALI)/acute respiratory distress syndrome (ARDS) Conditions Associated With Development of Acute Respiratory Distress Syndrome: Sepsis Diffuse pulmonary infections - Viral, Mycoplasma, and Pneumocystis pneumonia; miliary tuberculosis Gastric aspiration Mechanical trauma including head injuries Pulmonary contusions Near-drowning Fractures with fat embolism Burns, Ionizing radiation Inhaled Irritant gases and chemicals, smoke, Oxygen toxicity Heroin or methadone overdose, Barbiturate overdose Transfusion-associated lung injury (TRALI) Disseminated intravascular coagulation Pancreatitis Uremia Cardiopulmonary Bypass Hypersensitivity Reactions Air pollutants are generally associated with causation of chronic obstructive pulmonary diseases (COPDs) like emphysema, bronchitis, etc.